Which of the following is the most radiosensitive ovarian tumour?
1. Endodermal sinus tumour
2. Dermoid cyst
3. Dysgerminoma
4. Serous cyst adenoma

Correct answer: 3. Dysgerminoma

Explanation: Ans. Dysgerminoma